A round cell having fine nuclear chromatin, prominent nucleoli and fine azurophilic granule. The cell is:
1. Myeloblast
2. Lymphoblast
3. Monoblast
4. None

Correct answer: 1. Myeloblast

Explanation: The myeloblast (precursor of the granulocytes) varies considerably in size (10-18 μm in diameter), having a large round to oval nucleus nearly filling the cell, has fine nuclear chromatin and contains 2-5 well-defined pale nucleoli. The thin rim of cytoplasm is deeply basophilic and devoid of granules.
The myeloblasts of acute myeloid leukemia may, however, show the presence of rod-like cytoplasmic inclusions called Auer’s rods which represent abnormal derivatives of primary azurophilic granules.